A four year old boy, with swollen bleeding gums, petechiae and dry eyes. Diagnosis:
1. Rickets
2. Marasmus
3. Scurvy
4. Dehydration

Correct answer: 3. Scurvy

Explanation: Ans. (c) ScurvyRef : OP Ghai 8th ed./120* Scurvy is a dietary deficiency of vit C (ascorbic acid)* It is one of the malnutrition disease.Symptoms:# Malaise and lethargy.# Shortness of breath and bone pain# Myalgias may occur because of reduced carnitine production.# Skin changes with roughness, easy bruising and petechiae, gum swelling & bleeding, loosening ofteeth, poor wound healing.# Dry mouth and dry eyes# Jaundice, generalized edema, oliguria, neuropathy, fever, convulsions.